Schilling test is performed to find out
1. Folic acid Level
2. B12 malabsorption
3. Pancreatic enzyme deficiency
4. Coronary artery disease

Correct answer: 2. B12 malabsorption